Clinical manifestation of Schizophrenia are all of the following EXCEPT:
1. Delusion
2. Altered sensorium
3. Auditory hallucinations
4. Catatonia

Correct answer: 2. Altered sensorium

Explanation: Ans. (b) Altered sensoriumRef : Harrison 19th ed. / 2270-71* Schizophrenia is a formal thought disorder, characterized by third person hallucination & inappropriate emotion (affect)* Altered consciousness (sensorium) is a characteristic feature seen in delirium (not in szchizophrenia)Characteristics* Only 3rd person hallucinations are characteristic of schizophrenia.* Third person hallucination means: Two or more voices talking to one another, discussing about the patient; and giving a running commentary on his actions or thoughts.* Auditory hallucination is most characteristic of Schizophrenia.